All of the following are true about Epidemic typhus except
1. Also known as Flea born typhus
2. Causative agent is Rickettsial prowazekki
3. Vector - Louse
4. Tetracycline is drug of choice

Correct answer: 1. Also known as Flea born typhus

Explanation: Rickettsial diseases Diseases Rickettsial agent Insect vectors Mammalian reservoirs 1. Typhus group a. Epidemic typhus b. Murine typhus c. Scrub typhus R. prowazekii R. typhi R. tsutsugamushi Louse Flea Mite Humans Rodents Rodents 2. Spotted fever group a. Indian tick typhus b. Rocky mountain spotted fever c. Rickettsial pox R. conorii R. rickettsii R. akari Tick Tick Mite Rodents, dogs Rodents, dogs Mice 3. Others a. Q fever b. Trench fever C. burnetii Rochalimaea quintana Nil Louse Cattle, sheep, goats Humans Also serve as arthropod reservoir, by maintaining the rickettsiae through ovarian transmission Murine typhus is also known as Endemic typhus or Flea typhus